O2 carrying capacity of crystalloids & colloids is?
1. More than whole blood
2. Equivalent to whole blood
3. More than packed RBCs
4. None

Correct answer: 4. None

Explanation: Ans is 'd' i.e. None* Colloids 8c crystalloids have no oxygen carrying capacity.Oxygen carrying resuscitation fluids* Only class of fluids that are able to carry oxygen are Blood Products. These are Cryoprecipitate and plasma protein factors (PPF), Fresh frozen plasma (FFP), and Packed red blood cells (PRBCs) and whole blood.* They pull fluid from extravascular space into intravascular space to increase plasma volume (plasma expanders). RBC products also carry oxygen to increase tissue oxygenation 8c they also increase body's supply of various products (such as clotting factors, hemoglobin).* Indications include -i) Cryoprecipitate and plasma protein factors (PPF) - Management of acute bleeding (greater than 50% slow blood loss or 20% acutely)ii) Fresh frozen plasma (FFP) - Increase clotting factor levels in patients with demonstrated deficiencyiii) Packed red blood cells (PRBCs) and whole blood - To increase oxygen-carrying capacity in patients with anemia and substantial hemoglobin deficits PRBCs are used for blood loss up to 25% of total blood volume & whole blood is used for blood loss over 25% of total blood volume.